Nephrotic range of proteinuria is
1. > 30 mg/m2/hr
2. > 40 mg/m2/hr
3. > 2 gm/m2/24hrs
4. > 4 gm/m2/24hrs

Correct answer: 2. > 40 mg/m2/hr

Explanation: Nephrotic range of proteinuria is > 40 mg/m2/hr or  > 1 gm/m2/24hrs.